Acantholysis is seen in all except ?
1. Pemphigus vulgaris
2. Darrier's disease
3. SSSS
4. Bullous pemphigoid

Correct answer: 4. Bullous pemphigoid

Explanation: Ans. is 'D'.e., Bullous pemphigoid Acantholysis Separation of epidermal keratinocytes due to loss of intercellular bridge is referred to as acantholysis . Diseases causing acantholysis are : ? Pemphigus (Pemphigus vulgaris, P. vegetans, P.foilaceous, P. erythematosus) Eosinophilic spongiosis Darrier's disease Grover's disease (Transient acantholytic dermatosis) Hailey-Hailey disease (Familial benign chronic pemphigus) Infections with HSV-1 & 2. Staphylococcus scalded skin syndrome.